Secondary brain injury is:
1. Concussion
2. Diffuse axonal surgery
3. Depressed skull fracture
4. Intracerebral hematoma

Correct answer: 4. Intracerebral hematoma

Explanation: Ans. Intracerebral hematoma